Which of the following antimicrobials needs dose reduction even in mild renal failure ?
1. Ciprofloxacin
2. Carbenicillin
3. Cefotaxime
4. Ethambutol

Correct answer: 4. Ethambutol